Which is not a peptide neurotransmitter?
1. Enkephalin
2. Substance P
3. Endorphin
4. Serotonin

Correct answer: 4. Serotonin

Explanation: Small-Molecule, RapidlyActing TransmittersNeuropeptide, Slowly ActingTransmitters or Growth FactorsClass IAcetylcholineHypothalamic-Releasing HormonesThyrotropin-releasing hormoneLuteinizing hormone-releasing hormoneSomatostatin (growth hormone inhibitory factor)Class II: The AminesNorepinephrineEpinephrineDopamineSerotoninHistaminePituitary PeptidesAdrenocoicotropic hormoneb-Endorphina-Melanocyte-stimulating hormoneProlactinLuteinizing hormoneThyrotropinGrowth hormoneVasopressinOxytocinClass III: Amino AcidsGamma-aminobutyric acidGlycineGlutamateAspaatePeptides that Act on Gut and BrainLeucine enkephalinMethionine enkephalinSubstance PGastrinCholecystokininVasoactive intestinal polypeptideNerve growth factorBrain-derived neurotrophic factorNeurotensinInsulinGlucagonClass IVNitric oxideFrom Other TissuesAngiotensin IIBradykininCarnosineSleep peptidesCalcitoninRef: Guyton; 13th edition; Chapter 46 Organization of the Nervous System, Basic Functions of Synapses, and Neurotransmitters